All of the following are Continuous variables except:-
1. Age
2. Religion
3. BMI
4. Blood pressure

Correct answer: 2. Religion

Explanation: Variable - Anything which can have a different value Continuous variable Discreate variable Many possible values & in between value Few possible value & no in between value Eg:Weight, Height, Blood sugar, Serum cholesterol, BMI, Age, Pulse rate, Systolic blood pressure 0C/0F temperature Eg :ABO Blood grouping, Rh status, Religion, Sex, Anemia, Severity of anemia parity